National Population Policy 2000 has set a goal (by 2010) for 100 % Registration of all the following except:
1. Births and Deaths
2. Marriages
3. Pregnancies
4. Divorces

Correct answer: 4. Divorces

Explanation: According to National Population Policy 2000 (NPP 2000), one of the national socio-demographic goals is ‘to achieve 100% registration of births, deaths, marriage & pregnancy by 2010’.
According to ‘The Registration of Births and Deaths Act 1969’, both the births and deaths are to be registered within 21 days each.
Marriage registration has to be done within 30 days.